Oligomycin?
1. Blocks oxidative phosphorylation
2. Blocks protein synthesis
3. Blocks ATP uptake
4. Blocks Na uptake

Correct answer: 1. Blocks oxidative phosphorylation

Explanation: Ans. is 'a' i.e., Blocks oxidative phosphorylation Oligomycin Oligomycin is an antibiotic that blocks oxidative phosphorylation by blocking flow of protons through ATP synthase. Oligomycin A is an inhibitor of ATP synthase. Oligomycin A inhibits ATP synthase by blocking its proton channel (Fort subunit), which is necessary for oxidative phosphorylation of ADP to ATP (energy production). The inhibition of ATP synthesis by oligomycin A will significantly reduce electron flow through the electron transport chain; however, electron flow is not stopped completely due to a process known as proton leak or mitochondrial uncoupling. This process is due to the facilitated diffusion of protons into the mitochondrial matrix through an uncoupling protein such as thermogenin, or UCP 1. Administering oligomycin to an individual can result in very high levels of lactate accumulating in the blood and urine